The primary action of Nitric oxide (NO) in the gastrointestinal tract is
1. Vasodilatation
2. Vasoconstriction
3. Gastrointestinal smooth muscle relaxation
4. Gastrointestinal slow smooth muscle contraction

Correct answer: 3. Gastrointestinal smooth muscle relaxation

Explanation: In the gastrointestinal tract,NO important in the relaxation of smooth muscle NO act as inhibitory neurotransmitter in git. It doesnt have membrane bound receptor and diffuses into target cells and iactivates guanyl cyclase- produces cGMP from GTP- mediates smooty muscles relaxation.